Dietary triglycerides are transported by
1. Chylomicrons
2. VLDL
3. LDL
4. HDL

Correct answer: 1. Chylomicrons

Explanation: A i.e. Chylomicrons